Smoking may be associated with all of the following cancer's Except
1. Ca Larynx
2. Ca Nasopharynx
3. Ca Bladder
4. None of the above

Correct answer: 4. None of the above

Explanation: Smoking is associated with all of the cancers above Smoking associated cancers Lung Nasopharynx, oropharynx, hypopharynx and larynx Nasal cavity and para nasal sinuses Oral cavity Esophagus Stomach Pancreas Liver Kidney Ureter and Urinary Bladder Uterine cervix Acute Myeloid leukemia Ref : Harrison's 19th edition Pgno : 2730